Councilman bodies are formed due to process of
1. Necrosis
2. Cirrhosis
3. Apoptosis
4. Necroptosis

Correct answer: 3. Apoptosis

Explanation: The councilman bodies are formed due to process of apoptosis in viral hepatitis.Important pathological process associated with apoptosis:* Tumors exposed to chemotherapeutic agents* Graft versus host disease* Rejection episodes* Depletion of CD4 cells in AIDS* Prostatic atrophy after orchidectomy* Alzheimer's disease* MI (20% necrosis and 80% apoptosis)Important physiological processes with apoptosis* Organised cell destruction during formation of embryo* Endometrial shedding, regression of lactating breast* Involution of thymus* Normal cell destruction followed by replacement proliferation such as intestinal epithelium